True about Minamata disease are all except:
1. Caused by methyl mercury toxicity
2. First occurred in Japan
3. Found in babies born to mothers with overt symptoms of mercury poisoning
4. Babies characterised by microcephaly, cerebral palsy, severe intellectual disability

Correct answer: 3. Found in babies born to mothers with overt symptoms of mercury poisoning

Explanation: Knowledge about the extreme vulnerability of the fetus to methylmercury began with the Minamata Bay, Japan experience. The bay was heavily contaminated with methylmercury from industrial discharge. Fish bioconcentrated the toxicant and mothers acquired high blood levels from eating fish from the bay. While the mothers were usually without symptoms of mercury poisoning, their babies were born severely damaged with microcephaly, cerebral palsy, severe intellectual disability, seizure disorders, blindness, deafness and other malformations. Ref :